For the immediately life-threatening injuries of the chest "Laryngeal obstruction", select the proper intervention. (SELECT 1 INTERVENTION)
1. Endotracheal intubation
2. Cricothyroidotomy
3. Subxiphoid window
4. Tube thoracostomy

Correct answer: 2. Cricothyroidotomy

Explanation: Airway obstruction denotes partial or complete occlusion of the tracheobronchial tree by foreign bodies, secretions, or crush injuries of the upper respiratory tract. Patients may present with symptoms ranging from cough and mild dyspnea to stridor and hypoxic cardiac arrest. An initial effort should be made to digitally clear the airway and to suction visible secretions; in selected, stable patients, fiberoptic endoscopy may be employed to determine the cause of obstruction and to retrieve foreign objects. Unstable patients whose airways cannot be quickly reestablished by clearing the oropharynx must be intubated. An endotracheal intubation may be attempted, but cricothyroidotomy is indicated in the presence of proximal obstruction or severe maxillofacial trauma.